Commonest malignancy of bones is -
1. Ewings sarcoma
2. Metastases
3. Multiple myeloma
4. Osteogenic sarcoma

Correct answer: 2. Metastases

Explanation: Ans. is 'b' i.e., Metastases Important facts* Commonest bone malignancies Secondaries (metastases)* Commonest primary malignant tumor-Multiple myeloma* Commonest primary malignant tumor o long bones-Osteosarcoma* Commonest benign tumor of bonne-Osteochondroma(Osteochondroma is not ture neoplasm since its growth stops with cessation of growth at the epiphyseal plate)* Commonest true benign tumor of bone-Osteroid osteoma* Commonest benign tumor of hand-Enchondroma